Lines of Blaschko's are related to -
1. Keratinocytes
2. Blood vessels
3. Nerves
4. Bones

Correct answer: 1. Keratinocytes

Explanation: Ans. is 'a' i.e., Keratinocytes o Blaschko's lines correspond to the pathways followed by keratinocytes migrating from neural crest during embryogenesis.o The lines follow a V-shape over spine, an S-shape on abdomen, inverted U-shape from breast area to upper arm and perpendicular down the front and back of the lower extrimities.o A number of inflammatory conditions can follow Blaschko's lines -Lichen striatusLinear lichen planus.Inflammatory linear verrucous epidermal naevus (ILVEN).Blaschko dermatitis (Blaschtitis).Incontinentia pigmenti.Goltz syndrome.Linear morphoea.Segmental vitiligo.xi) Focal dermal hypoplasia.CHILD syndrome.Hypomelanosis of Ito.Linear cutaneous lupus erythematosus.